Which is the most common variant of congenital adrenal hyperplasia?
1. 11b hydroxylase deficiency
2. 17a hydroxylase deficiency
3. 3b hydroxyl-steroid dehydrogenase
4. 21 hydroxylase deficiency

Correct answer: 4. 21 hydroxylase deficiency

Explanation: Mutations in CYP21A2 which leaads to 21 hydroxylase deficiency is the most prevalent cause of CAH responsible for 90-95% of cases.